During the second month of gestation, the posterior wall of the Rathke's pouch give rise to which of the following structure?
1. Adenohypophysis
2. Pars intermedia
3. Neurohypophysis
4. Pituitary stalk

Correct answer: 2. Pars intermedia

Explanation: Rathke's pouch is an ectodermal outpocketing of the stomodeum in front of the buccopharyngeal membrane. During the second month of gestation Rathke's pouch loses its connection with the oral cavity and its anterior wall forms the adenohypophysis and its posterior wall forms the pars intermedia. The pituitary gland is formed from Rathke's pouch and infundibulum. The infundibulum will form the median eminence, pituitary stalk and neurohyophysis. Ref: Atlas of Neuroradiologic Embryology, Anatomy, and Variants edited by J. Randy Jinkins page 39